Which of the following structure develops from dorsal mesentery?
1. Greater omentum
2. Lesser omentum
3. Liver
4. Diaphragm

Correct answer: 1. Greater omentum

Explanation: Ref. Gray’s anatomy.  41st edition. Page. 1130
Mesenteries of the gut tube 

The thoracic esophagus and anus are anchored within the body wall and are therefore retroperitoneal
The stomach and liver are suspended in a mesentery that is attached to the dorsal AND ventral body walls:

the dorsal mesentery of the stomach becomes the greater omentum
the ventral mesentery of the liver becomes the falciform ligament
the mesentery between the stomach and liver becomes the lesser omentum


The rest of the GI tract is suspended by a dorsal mesentery, named according to the organ to which it is attached (mesoduodenum, mesoappendix, mesocolon, etc.)
Little of GI tract remain intraperitoneal in the adult and are therefore suspended by a mesentery.
Little of GI tract, however, are applied against the body wall during development and the dorsal mesentery becomes incorporated into the body wall, making the organ secondarily retroperitoneal.